Inclusion conjunctivitis is caused by-
1. Trachoma
2. Pneumococcus
3. Candida
4. Neisseria

Correct answer: 1. Trachoma

Explanation: Ans. is 'a' i.e., Trachoma Adult inclusion conjunctivitiso It is a type offollicular conjunctivitis caused by serotypes D to K of chlamydia trachomatis-in sexually active young adults.o The primary source of infection is urethritis in males and cervicitis in females.o Transmission may occur either through contaminated fingers or through contaminated water of swimming pools (Swimmingpool granuloma).o Presentation is similar to other acute follicular conjunctivits with mucopurulent discharge,o The disease runs a benign course and often evolves into the chronic follicular conjunctivitis.